True combination is all except –
1. Cold–Trench foot
2. Light–Miner's nystagmus
3. Pressure–Caisson disease
4. Cane fibre–Farmer's lung

Correct answer: 4. Cane fibre–Farmer's lung